The ideal occlusal clearance for a complete cast crown is:
1. 0.5 m
2. 1.5 mm
3. 2 m
4. 2.5 mm

Correct answer: 2. 1.5 mm